A 55-year-old obese woman presents to the clinic for evaluation of multiple symptoms. She notes frequent episodes of vaginal yeast infections in the past 2 months, recent weight loss in spite of a large appetite, and waking up frequently at night to urinate. There is no history of fever or chills, and her only past medical illness is hypertension that is treated with ramipril. Which of the following is the most likely diagnosis?
1. diabetes mellitus (DM)
2. diabetes insipidus (DI)
3. vaginitis and cystitis
4. myxedema

Correct answer: 1. diabetes mellitus (DM)

Explanation: DM is a syndrome consisting of hyperglycemia, large vessel disease, micro vascular disease, and neuropathy. The classic presenting symptoms are increased thirst, polyuria, polyphagia, and weight loss. In type 2 diabetes, the presentation can be more subtle and is often made when the patient is asymptomatic. While DI can result in increased urinary volume, the other clinical features seen in this patient are not characteristic of it. Hypothyroidism can cause some of the symptoms experienced by this patient but not the weight loss, frequent yeast infections, or nocturia.